The mean and median dental caries levels of a Taluk were 4 and 5. What would be the possible mode for this population?
1. 7
2. 2
3. 1
4. 9

Correct answer: 1. 7